Soap bubble appearance on Xray is seen in which bone tumor -
1. Osteogenic sarcoma
2. Giant cell tumor
3. Multiple myeloma
4. Chondroblastoma

Correct answer: 2. Giant cell tumor

Explanation: Ans. is 'b' i.e., Giant cell tumor Characteristic radiological features of few bone tumors Celery-stick appearance Enchondromas Coat-hanger appearance Osteochondroma Codman tumor and chicken-wire calcification Chondroblastoma Double density sign on radionuclide scan Osteoid osteoma Nidus and sclerotic rim Osteoid osteoma "Driven snow" appearance Pindborg tumor Fallen fragment/Hinged fragment sign Simple (unicameral) bone cyst "Eggshell" covering of expansile cortex over surface of lesion ABC 'Soap bubble' appearance ABC Soap bubble appearance (& goes into corners) GCT (Osteoclastoma) 'Floating tooth' sign Eosinophilic granuloma, adamantinoma Onion skin (onion peel) appearance Ewing sarcoma Skip lesions Osteosarcoma, Ewings sarcoma 'Sunray/Sunburst' appearance Osteosarcoma String sign (to differentiate from myositis ossificans) Parosteal osteosarcoma Popcorn/mottled calcification Chondrosarcoma Shepherd's crook deformity Fibrous dysplasia Codman's triangle Osteosarcoma, Ewing sarcoma Winking owl sign Metastasis to pedicles of vertebra Corduroy/accordion vertebra/vertical striations Vertebral hemangioma Polka dot sign on CT Vertebral hemangioma Geographical skull Eosinophilic granuloma Hole-within-a-hole lesion Eosinophilic granuloma